Jod-Basedow phenomenon refers to which of the following?
1. Iodine excess causing suppression of TSH
2. Iodine excess causing hyperthyroidism
3. Iodine excess causing transient decrease in thyroid hormone production
4. Iodine excess causing regression of MNG

Correct answer: 2. Iodine excess causing hyperthyroidism

Explanation: It is named for Karl Adolph von Basedow, a German physician and the German word for iodine, "jod". It is the opposite of the Wolff-Chaikoff effect. Amiodarone can cause thyrotoxicosis that may be caused by either a Jod-Basedow effect from the iodine load, in the setting of MNG or incipient Graves' disease. Ref: Harrisons Principles of Internal Medicine, 18th Edition, Table 341-6, Causes of Thyrotoxicosis, Pages 2922, 2930-31.